Disease elimination is helped by
1. Herd immunity
2. Isolation
3. Quarantine
4. None

Correct answer: 1. Herd immunity

Explanation: If herd immunity is sufficiently high and it's level is maintained and stepped up by an ongoing immunization programme to the point where the susceptible persons are reduced to a small proportion of population it may lead to the elimination of disease in due course. Ref: 25th edition, Park's Textbook of Preventive and Social Medicine, Page no. 111